Highest frequency among the following waves of EEG is seen in
1. Alpha(α) wave
2. Beta (β) wave
3. Theta (θ) wave
4. Delta (δ) wave

Correct answer: 2. Beta (β) wave